In cholecytectomy of cirrhotic patient , fresh frozen plasma should be given
1. Just before operation
2. At the time of operation
3. 6 hours before operation
4. 12 hours after operation

Correct answer: 1. Just before operation

Explanation: A cirrhotic patient with abnormal coagulation who needs cholecystectomy should be given FFP FRESH FROZEN PLASMA Transfusions with FFP are given to replenish clotting factors The effectiveness of the transfusion in maintaining hemostasis is dependent on the quantity of each factor delivered and its half life The half-life on the most stable clotting factor, FACTOR-VII, is 4 to 6 hours A reasonable transfusion scheme would be to give FFP on call to the operating room. This way the transfusion is complete prior to the incision, with circulating factors to cover the operative and immediate post-op period Ref: Sabiston 20th edition Pgno :1496